Most common type of atrial septal defect is –
1. Ostium primum
2. Ostium secondum
3. Endocardial cushion defect
4. Endocardial hypertrophy

Correct answer: 2. Ostium secondum